Kishori Shakti Yojana does not include
1. Literacy initiative
2. Vocational
3. Nutrition
4. Cash allowance

Correct answer: 4. Cash allowance

Explanation: Kishori Shakti Yojana scheme targets adolescent girls in the age group of 11 to 18 years and addresses their needs of self-development, nutrition and health status, literacy and numerical skills, vocational skills etc. Ref: PARK'S TEXTBOOK OF PREVENTIVE AND SOCIAL MEDICINE 23rd edition pg 592